Zero dose of polio vaccine is given at:
1. Before giving DPT
2. At birth
3. When child is having diarrhea
4. When child is having polio

Correct answer: 2. At birth

Explanation: - OPV zero dose: Given at birth / as early as possible within first 15 days of life. LATEST NATIONAL IMMUNIZATION SCHEDULE (NIS): 2019